The instrument best suited for root planning is:
1. Hoe
2. Scaler
3. File
4. Curette

Correct answer: 4. Curette